All are elements of primary health care except:
1. Adequate supply of safe water
2. Provision of free essential drugs only to poor
3. Promotion of food supply & proper nutrition
4. Prevention & control of locally endemic disease

Correct answer: 2. Provision of free essential drugs only to poor

Explanation: Ans: b. Provision of free....Elements of primary health care: 8 Essential component:Education concerning prevailing health problems & the methods of preventing & controlling themPromotion of food supply & proper nutrition,An adequate supply of safe water & basic sanitation.Maternal & child health care including family planningImmunization against major infectious diseasesPrevention & control of locally endemic diseaseAppropriate treatment of common diseases & injuriesProvision of essential drug